Most periodontal fibres are activated when resisting
1. Torquing forces
2. Horizontal forces
3. Vertical forces
4. Sliding forces

Correct answer: 3. Vertical forces